Acute cellular rejection following solid organ transplantation occurs-
1. Within minutes to hours of transplantation
2. Within 48 hours of transplantation
3. Between 5 and 30 days of transplantation
4. Beyound 30 days after transplantation

Correct answer: 3. Between 5 and 30 days of transplantation

Explanation: *acute graft versus host disease occurs within days to weeks after allogenic bone marrow transplantation.Reference;Robbins and Cotran pathologic basis of disease South Asia edition.